The classical liver lobule is present around:
1. Portal vein
2. Hepatic artery
3. Bile duct
4. Central vein

Correct answer: 4. Central vein

Explanation: Central vein is present in the centre of hepatic lobule while the six portal triads will be present in the corners.
The portal triad consists of the portal vein, hepatic artery and bile duct; this portal triad will be seen in the corners of hepatic lobule.